All of the following are true of placenta previa except:a) Postpartum hemorrhage infrequentb) First trimester bleeding is not uncommonc) Premature labour is commond) Higher incidence in women with lower segment cesarean sectione) Malposition and malpresentation are common
1. ac
2. a
3. ab
4. bc

Correct answer: 3. ab

Explanation: Placenta previa is a cause of APH which means bleeding from or into the genital tract after the 28th week of pregnancy i.e. it is not a cause of first trimester bleeding. (i.e. option b is incorrect).
As discussed earlier, previous cesarean section increase the chances of placenta previa in next pregnancy (i.e. option d is correct).
As far as other options are concerned - they are all complications of placenta previa.
Complications of placenta previa
A. Maternal

Antepartum, Intrapartum and Postpartum= Hemorrhage
Malpresentation
Cord prolapse
Retained placenta
Preterm labour
Premature rupture of membranes
Slow dilatation of cervix

B. Fetal

Asphyxia
Birth injuries
Low birth weight
Congenital malformation
Intrauterine death